Full form of LCAT is ?
1. Lecithin cholesterol acyl transferase
2. Lecithin cholesterol alkyltransferase
3. Lecithin choline acetyltransferase
4. Lecithin choline alcohol transferase

Correct answer: 1. Lecithin cholesterol acyl transferase

Explanation: Ans. is 'a' i.e., Lecithin cholesterol acyl transferase Lecithin-cholesterol acyl transferase (LCAT) is present in HDL and esterifies the cholesterol in HDL. Major activator of LCAT is Apo-Al. Apo-C1 can also activate LCAT.HDL-Cholesterol appears to be the best independent predictor of coronary artery disease (inverse relationship) than any other known risk factor. That means low HDL is a much stronger predictor of coronary artery disease than increased LDL cholesterol or increased total cholesterolThe intracellular cholesterol activates the intracellular enzyme acyl-CoA cholesterol acyl transferase (ACAT). This enzyme catalyzes transfer of an acyl group from a fatty acid derivative to cholesterol, resulting in the formation of esterified choleserol, and this cholesterol ester is stored for subsequent use.